Ribosomes are attached to ?
1. Nucleus
2. RER
3. Smooth ER
4. Mitochondria

Correct answer: 2. RER

Explanation: Ribosomes Ribosomes are the actual sites of protein synthesis.The ribosomes are small granules of RNAs.Ribosomes usually occurs in clusters called polyribosomes attached to one mRNA molecule, an arrangement that increases the rate of polypeptide synthesis.